Pontine harmorrhage is characterized by
1. Pin point pupil reacting to light
2. Hypothermia
3. Hemisensory disturbances
4. Hypotension

Correct answer: 1. Pin point pupil reacting to light

Explanation: (A) Pin point pupil reacting to light # Pontine hemorrhage (sudden onset, pinpoint pupils, loss of reflex eye movements and corneal responses, ocular bobbing, posturing, hyperventilation, and excessive sweating);